A new method of caries detection, which is based on the principle of fluorescence:
1. FOTI.
2. DIAGNOdent.
3. Cariogra.
4. All of the above.

Correct answer: 2. DIAGNOdent.

Explanation: The principle of FOTI (Fiber Optic Transillumination) is that there is a different index of light transmission for decayed and sound tooth. Since tooth decay has a lower index of light transmission than the sound tooth structure, an area of decay shows up as a darkened shadow. The use of FOTI is proved to be effective in the anterior region.
DIAGNOdent is a new method of caries detection, which is based on the principle of fluorescence. The system has a range of -9 to 99 with -9 being the value where the tooth is the healthiest. The advantage lies in the early, precavitation stage of caries detection.